Ipsilateral 3rd nerve palsy with crossed hemiplegia is a feature of?
1. Weber syndrome
2. Benedikt syndrome
3. Wallenberg syndrome
4. Horner syndrome

Correct answer: 1. Weber syndrome

Explanation: Weber syndrome shows the above features. Details of other syndromes can be found in treasures Weber's syndrome Site of lesion Features Midbrain I/L CN III palsy C/L hemiplegia